Not a content of Hunter's canal -
1. Femoral artery
2. Femoral vein
3. Femoral nerve
4. Sphenous nerve

Correct answer: 3. Femoral nerve

Explanation: Ans. is 'c' i.e., Femoral nerve o Contents of adductor canal are femoral artery, femoral vein. Saphenous nerve, nerve to vastus medialis, descending genicular artery, deep lymph vessels, and two terminal divisions of obturator nerve.